A patient suffering from Zollinger- Ellison syndrome would be expected to have:
1. Excessive acid reflux into the esophagus, resulting in esophagitis
2. Excessive secretion of CCK, causing continuous contraction of the gallbladder
3. A gastrin-secreting tumor of the pancreas, causing excessive stomach acid secretion and peptic ulcers
4. Low plasma lipid levels, due to failure of the liver to secrete VLDLs

Correct answer: 3. A gastrin-secreting tumor of the pancreas, causing excessive stomach acid secretion and peptic ulcers

Explanation: Ans. C. A gastrin-secreting tumor of the pancreas, causing excessive stomach acid secretion and peptic ulcersExcessive production of gastrin results in acid hypersecretion and peptic ulcer disease. Patients with Zollinger-Ellison syndrome do not suffer from excessive acid reflux, excessive secretion of CCK, failure of the liver to secrete VLDLs, or failure to secrete a bicarbonate-rich pancreatic juice